Stave cells are seen in -
1. Liver
2. Spleen
3. Pancreas
4. Gall bladder

Correct answer: 2. Spleen

Explanation: Ans. is 'b' i.e., Spleen o Stave cells are lining endothelial cells of sinusoids of spleen.o Damaged or aged blood cells of all types are trapped by stave cells and destroyed by macrophages.